Which among the following is the commonest cause of heart failure in infancy?
1. Myocarditis
2. Rheumatic fever
3. Cardiomyopathy
4. Congenital heart disease

Correct answer: 4. Congenital heart disease

Explanation: When congestive heart failure (CHF) is present in infancy, it is usually as a manifestation of congenital heart disease and is seen in the first year of life. The classic triad of symptoms for pediatric CHF is tachypnea, tachycardia, and hepatomegaly. There may also be a history of poor feeding, sweating or color change with feeding, and poor weight gain. Congenital cardiac diseases which leads to heart failure are, At 1st day - PDA in premature infants At 1 week - Hypoplastic left ventricle (HPLV) At 2 weeks - Coarctation of aorta At 1 month - Ventricular septal defect Ref: Stephan M., Carter C., Ashfaq S. (2011). Chapter 50. Pediatric Emergencies. In R.L. Humphries, C. Stone (Eds), CURRENT Diagnosis & Treatment Emergency Medicine, 7e.